PLET medium is used in ?
1. Plague
2. Anthrax
3. Typhoid
4. Cholera

Correct answer: 2. Anthrax

Explanation: Ans. is `b' i.e., Anthrax Selective media for B. antracis is PLET medium, consisting of polymyxin, lysozyme, ethylene diamine tetraacetic acid (EDTA) and thallous acetate added to heart infusion agar.